After initiation of DOTS therapy for category-I, first sputum examination is done at:
1. 1 month of treatment
2. 2 months of treatment
3. 4 months of treatment
4. 6 months of treatment

Correct answer: 2. 2 months of treatment

Explanation: Ans. B: 2 months of treatment The treatment in Category I consists of an intensive phase of H, R, Z and E administered under a direct supervision thrice weekly on alternate days for 2 months, followed by a continuation phase of H and R thrice weekly on alternate days for 4 months In the Category 1 follow-up, sputum examination is done at 2, 4 and 6 months of treatment. If smear is positive after 2 months, the intensive phase is extended for one more month and sputum examinations done at 3, 5 and 7 months.